Base of femoral triangle is formed by
1. Inguinal ligament
2. Medial border of sartorius
3. Medial borer of adductor longus
4. Iliacus

Correct answer: 1. Inguinal ligament

Explanation: Base of femoral triangle is inguinal ligament which is aponeurosis of external oblique muscle. Medial border of adductor longus forms the medial boundary. Medial border of Sartorius forms the lateral boundary. Floor is formed by adductor longus,pectineus and iliacus. Femoral artery, femoral vein and lymphatics are involved in femoral sheath.